Which of the following is false regarding acetyl CoA carboxylase
1. It is the rate limiting enzyme of fatty acid synthesis
2. It is a component of fatty acid synthase complex
3. It is activated by citrate
4. It requires Biotin

Correct answer: 2. It is a component of fatty acid synthase complex

Explanation: Acetyl CoA carboxylase is not a component of fatty acid synthase complex.
Fatty acid synthase complex has 6 enzymes

Keto acyl synthase
Acetyl malonyl transacylase
Hydratase
Enoyl reductase
Keto acyl reductase
Thioesterase.